The mechanism of action of EPEC is:-
1. Adherence to enterocytes
2. Stimulates adenylcyclase
3. Increase cGMP
4. Inhibit release of acetylecholine from peripheral nerves

Correct answer: 1. Adherence to enterocytes

Explanation: The mechanism of action of EPEC is adherence to enterocytes. Option 1 - Enteropathogenic E. coli Pathogenesis = Attaching-and-effacing histopathology. EPEC adhere to the mucosal cells of the small bowel. Pathogenicity: EPEC adherence factor (EAF) Chromosomal locus of enterocyte effacement (LEE) . After attachment, there is loss of microvilli (effacement); result of EPEC infection in infants is characterized by severe, watery diarrhea, vomiting, and fever, which are usually self-limited but can be prolonged or chronic. Option 2,3,4 Mechanism of Action of some important Bacterial Toxins: Heat Labile toxin of E.coli Increase cAMP Heat stable toxin of E.coli Increase cGMP Botulism toxin Inhibit release of acetylecholine from peripheral nerves Tetanus toxin Inhibit release of glycine and GABA at presynaptic terminals Diphtheria toxin Inhibit protein synthesis by inactivating EF 2